Retinal blood vessels are developed from –
1. Surface ectoderm
2. Paraxial mesoderm
3. Endoderm
4. Neuro ectoderm

Correct answer: 2. Paraxial mesoderm

Explanation: Blood vessels are derived from mesoderm.